Turner hypoplasia is:
1. Hypoplasia due to local trauma/infection
2. Hypoplasia due to systemic infection
3. Hypoplasia due to congenital syphilis
4. Hypoplasia due to fluoride ingestion

Correct answer: 1. Hypoplasia due to local trauma/infection